Reduvid bug is a vector for the transmission of-
1. Relapsing fever
2. Lyme's disease
3. Scrub typhus
4. Chaga's disease

Correct answer: 4. Chaga's disease